In HIV infected patients, smear from oral lesions will show which organism -
1. Candida
2. Cryptococcosis
3. Histoplasma
4. Trichophyton

Correct answer: 1. Candida

Explanation: Ans. is 'a' i.e., Candida * Amongst the given options, only Candida causes oral lesion in AIDS patient.* Oral lesions in AIDS include1. Hairy leukoplakia (caused by EBV)2. Thrush (caused by Candida)3. Aphthous ulcer